Which muscle divides the neck into anterior and posterior triangles?
1. Sternomastoid
2. Platysma
3. Digastric
4. Trapezius

Correct answer: 1. Sternomastoid